Trismus in parapharyngeal abscess is due to spasm of:
1. Masseter muscle
2. Medial pterygoid
3. Lateral pterygoid
4. Temporalis

Correct answer: 2. Medial pterygoid

Explanation: Styloid process divides the pharynx into anterior and posterior compartment. Trismus occurs in infection of anterior compartment whereas torticollis (due to spasm of paravertebral muscles) occurs in the infection of posterior compartment.